In apoptosis, cytochrome C acts through
1. Apaf 1
2. Bc1-2
3. FADD
4. TNF

Correct answer: 1. Apaf 1

Explanation: Cytochrome c leaks into the cytosol, where it binds to APAF-1 andactivates caspase-9. Like caspase-8 of the extrinsic pathway, caspase-9 can cleave and activate the executioner caspases. The integrity of the mitochondrial outer membrane is regulated by pro-apoptotic and anti-apoptotic members of the BCL2 family of proteins( Robbins Basic Pathology, 9 th edition)